Following statements are true with respect to hyperplasia except
1. Increase in cell size is hyperplasia
2. Increase in cell number is hyperplasia
3. Hyperplasia is not cancer
4. Hyperplasia may predispose to cancer

Correct answer: 1. Increase in cell size is hyperplasia

Explanation: Hyperplasia is characterized by an increase in cell number because of the proliferation of differentiated cells and replacement by tissue stem cells.The hyperplastic process remains controlled; if the signals that initiate it abate, the hyperplasia disappears.In many cases, pathologic hyperplasia constitutes a fertile soil in which cancers may eventually arise. For example, patients with hyperplasia of the endometrium are at increased risk of developing endometrial cancer.( Robbins Basic Pathology, 9th edition, page 4 )